Most common cause of PR bleeding is -
1. Diverticulosis
2. Hemorrhoids
3. Croh's Disease
4. CA Colon

Correct answer: 2. Hemorrhoids

Explanation: Ans- B Most common cause of PR bleed is hemorrhoids. Most common cause of significant lower GI tract bleed is diverticulosis